Fetal HB is replaced by adult HB completly at –
1. At birth
2. 2 months
3. 4 months
4. 6 months

Correct answer: 4. 6 months

Explanation: Synthesis of HbF decreases rapidly postnatally, and by 6-12 months of age only a trace is present.